Most common symptom of alcohol withdrawal is
1. Body ache
2. Tremor
3. Diarrhea
4. Rhinorrhea

Correct answer: 2. Tremor

Explanation: Features of alcohol withdrawal include tremor of the hands (shakes); agitation and anxiety; autonomic nervous system overactivity including an increase in pulse, respiratory rate, sweating, and body temperature; and insomnia. These symptoms usually begin within 5-10 h of decreasing ethanol intake, peak on day 2 or 3, and improve by day 4 or 5, although mild levels of these problems may persist for 4-6 months as a protracted abstinence syndrome.Harrison 19epg 2727